Muscles which acts as tensor of vocal cord is supplied by
1. RLN
2. Internal laryngeal nerve
3. External laryngeal nerve
4. Glossopharyngeal nerve

Correct answer: 3. External laryngeal nerve

Explanation: Tensor of vocal cord is Cricothyroid muscle. Motor supply to cricothyroid is by External branch of superior laryngeal nerve. NERVE SUPPLY OF LARYNX: MOTOR All muscles are supplied by Recurrent laryngeal nerve except cricothyroid. SENSORY Above vocal cords: Internal laryngeal nerve ; Below the vocal cords: Recurrent laryngeal nerve. The external branch provides motor supply to the cricothyroid muscle, while the internal branchpierces the thyrohyoid membrane above the entrance ofthe superior laryngeal artery and divides into two mainsensory and secretomotor branches. The upper branchsupplies the mucous membrane of the lower part of thepharynx, epiglottis, vallecula vestibule of the larynx andthe lower branch descends in the medial wall of the piriform fossa beneath the mucous membrane and supplies thearyepiglottic fold and the mucous membrane of the larynxdown to the level of the vocal folds